All of the following statements regarding Metformin are TRUE, EXCEPT:
1. It causes little or no hypoglycemia in non diabetic subjects
2. Acts by increasing insulin secretion
3. Increases peripheral utilisation of glucose and decreases absorption of glucose from intestine
4. When given with alcohol, increases risk of lactic acidosis

Correct answer: 2. Acts by increasing insulin secretion

Explanation: Metformin does not affect the release of insulin or islet cell hormones and therefore does not cause hypoglycemia. It lowers blood glucose by reducing hepatic glucose production and by increasing peripheral glucose uptake. In the liver it acts by suppressing gluconeogenesis. Side effects of metformin are: nausea, indigestion, abdominal cramps or bloating and diarrhea. Lactic acidosis was found in patients with concurrent conditions that can cause poor tissue perfusion such as sepsis, myocardial infarction, congestive heart failure, renal failure. Metformin should not be used in severe pulmonary disease, decompensated heart failure, severe liver disease, or chronic alcohol abuse. Ref: Powers A.C., D'Alessio D. (2011). Chapter 43. Endocrine Pancreas and Pharmacotherapy of Diabetes Mellitus and Hypoglycemia. In L.L. Brunton, B.A. Chabner, B.C. Knollmann (Eds), Goodman & Gilman's The Pharmacological Basis of Therapeutics, 12e.